The most common serious complication which can occur following surgery in maxillary incisor region is
1. Iritis
2. Cellulitis
3. Periapical abscess
4. Cavernous sinus thrombisis

Correct answer: 4. Cavernous sinus thrombisis